All of the following suggests of organic disease except :
1. Early age onset
2. Absence of family history of psychiatric illness
3. Absence of previous history of psychiatric illness
4. Absence of any apparent psychological precipitant

Correct answer: 1. Early age onset

Explanation: Organic disease are usually seen at older age groups.